All of the following statements are true about intestinal motility except
1. Does not depend on gastric motility
2. Increased by distension
3. Increased by Acetylcholine
4. Increased by Cholecystokinin

Correct answer: 1. Does not depend on gastric motility

Explanation: Gastric motility and intestinal motility are totally dependent on one another Ref: Ganong 25th ed/page 497